Which of the following is not an etiology of cord prolapse?
1. Contracted pelvis
2. Hydramnios
3. Placenta previa
4. Dextrarotated uterus

Correct answer: 4. Dextrarotated uterus

Explanation: Dextrarotated uterus is a normal physiological changed seen in pregnancy. ETIOLOGY: Malpresentations:transverse (5-10%) and breech (3%) Contracted pelvis Prematurity Twins Hydramnios Placental factor:placenta previa Iatrogenic: lLow rupture of the membranes, manual rotation of the head, ECV, IPV Stabilizing induction